Which of the following is not an appropriate investigation for anterior urethral stricture ?
1. Magnetic resonance imaging
2. Retrograde urethrogram
3. Micturating cystourethrogram
4. High frequency ultrasound

Correct answer: 1. Magnetic resonance imaging

Explanation: Radiological investigations for urethral stricture are :-
(1) Retrograde urethrography; 
(2) Micturating cystourethrography; 
(3) Endoscopy (urethroscopy); 
(4) Sonographic urethrogram; 
(5) High frequency USG.